False about Developmental Dysplasia of Hip
1. Ortolani Test
2. Sailor's gait
3. Non - Rosen's sign positive
4. Associated with polyhydromnios

Correct answer: 4. Associated with polyhydromnios